Idiotypic class of antibody is determined by -
1. Fc region
2. Hinge region
3. Carboxy end
4. Amino end

Correct answer: 4. Amino end

Explanation: An idiotype is a shared characteristic between a group of immunoglobulin or T cell receptor (TCR) molecules based upon the antigen binding specificity and therefore the structure of their variable region. The variable region of antigen receptors of T cells (TCRs) and B cells (immunoglobulins) contain complementarity-determining regions (CDRs) with unique amino acid sequences Ref: www.mayoclinic.com